Which of the following signs is classic for CT scanning in Graves ophthalmopathy:
1. Nodular muscle enlargement
2. Solitary muscle enlargement
3. Fusiform muscle enlargement with sparing of tendoms
4. Kinking of extraocular muscles.

Correct answer: 3. Fusiform muscle enlargement with sparing of tendoms

Explanation: Ans. Fusiform muscle enlargement with sparing of tendoms